A six year old child is posted for elective urology surgery under general anesthesia. He refuses to allow the anaesthesiologist an I.V. access. The best inhalational agent of choice for induction of anesthesia is:
1. Sevoflurane
2. Methoxyflurane
3. Desflurane
4. Isoflurane

Correct answer: 1. Sevoflurane

Explanation: A i.e. Sevoflurane